Critical Limb ischemia results from
1. Mild Arterial Occlusive Disease
2. Moderate Arterial Occlusive disease
3. Severe Arterial occlusive disease
4. All of the above

Correct answer: 3. Severe Arterial occlusive disease